A deep pit Lined by enamel seen in the lingual surface of Maxillary lateral incisor is most Likely to be
1. Dens in dente
2. Enamel Hypoplasia
3. Talon's cusp
4. Enamel Pearl

Correct answer: 1. Dens in dente